Which of the following is the causative agent of Yaws?
1. Treponema pertenue
2. Treponema carateum
3. Treponema pallidum
4. Treponema endemicum

Correct answer: 1. Treponema pertenue

Explanation: Yaws is a contagious disease of tropical regions caused by Treponema pallidum subspecies T pertenue. It is characterized by granulomatous lesions of the skin, mucous membrane and bone. It is acquired by direct non sexual contact often during play or group sleeping, and may be enhanced by disruption of the skin by insect bites or abrasions. The first lesion begins as a papule usually on an extremity and then enlarges to become papillomatous or raspberry like. A generalized secondary eruption accompanied by generalized lymphadenopathy, appears either concurrent with or following the primary lesion. Late yaws is manifested by gummas of the skin and long bone, hyperkeratoses of the palms and soles, osteitis and periostitis, and hydrarthrosis. Ref: Lukehart S.A. (2012). Chapter 170. Endemic Treponematoses. In D.L. Longo, A.S. Fauci, D.L. Kasper, S.L. Hauser, J.L. Jameson, J. Loscalzo (Eds),Harrison's Principles of Internal Medicine, 18e.